Most cardiotoxic local anesthetic ?
1. Procaine
2. Bupivacaine
3. Cocaine
4. Lidocaine

Correct answer: 2. Bupivacaine

Explanation: Ans. is 'b' i.e., Bupivacaine